Muscles forming floor of pelvis are all except-
1. Pubococcygeus
2. Iliococcygeus
3. Ischiococcygeus
4. Iliacus

Correct answer: 4. Iliacus

Explanation: Ans. is 'd' i.e., Iliacus * The pelvic floor is formed by the levator ani muscle which consists of three parts.1. Pubococcygeus2. Iliococcygeus3. Ischiococcygeus